A 60 year old male presented with acute chest pain of 4 hours duration. Electrocardiographic examination revealed new Q wave with ST segment depression. He succumed to his illness within 24 hours of admission. The heart revealed presence of a transmural haemorrhagic area over the septum and anterior wall of the left ventricle. Light microscopic examination is most likely to reveal:
1. Edema in between normal myofibres
2. Necrotic myofibres with presence of neutrophils
3. Coagulative necrosis of the myocytes with presence of granulation tissue
4. Infiltration by histiocytes with haemosiderin laden macrophages

Correct answer: 2. Necrotic myofibres with presence of neutrophils

Explanation: Patient had a myocardial infarction, histology of the cardiac muscle fibres done at 24 hours after an MI shows necrotic myofibres with presence of neutrophils. Ref: Robbins Pathology, 6th Edition, Page 558